Arrange the following tooth in the order of age of eruption of temporary teeth Upper lateral incisor Lower lateral incisor Lower medial incisor Upper medial incisor
1. 1-2-4-3
2. 3-2-1-4
3. 3-4-1-2
4. 2-3-4-1

Correct answer: 3. 3-4-1-2

Explanation: Eruption sequence of Temporary Dentition Lower medial incisor 6 to 8 months Upper medial incisor 7 to 9 months Upper lateral incisor 7 to 9 months Lower lateral incisor 10 to 12 months First molar 12 to 14 months Canine 17 to 18 months Second molar 20 to 30 months